What is the percentage of atropine present in atropine drops?
1. 1%
2. 2%
3. 3%
4. 4%

Correct answer: 1. 1%

Explanation: Atropine is an alkaloid and is used in its water soluble form and it is available as both drops and ointment at 0.5% and 1% strength. Ophthalmologic indications of atropine: Atropine is an effective and long acting cycloplegic drug. In addition to this, it can used in the treatment of iritis. It is also used to maintain a dilated pupil after intraocular surgical procedures. Toxicity: The prominent toxic symptoms especially in children are: Restlessness and excited behavior with Dryness and flushing of the skin of the face Dry mouth Fever Inhibition of sweating Tachycardia Ref: Flach A.J., Fraunfelder F.W. (2011). Chapter 22. Ophthalmic Therapeutics. In P. Riordan-Eva, E.T. Cunningham, Jr. (Eds), Vaughan & Asbury's General Ophthalmology, 18e. A Textbook of Clinical Ophthalmology: A Practical Guide to Disorders of the ... By R. Pitts Crick page 588.